Ture about Mafucci syndrome is
1. Multiple osteochondroma
2. Multiple Enchondroma with Hemangioma
3. Multiple osteochindroma with soft tissue Hemangioma
4. Multiple Hemangioma

Correct answer: 2. Multiple Enchondroma with Hemangioma

Explanation: Maffucci syndrome is multiple Enchondromas assosciated with soft tissue Hemangioma and thrombophlebitis MAFUCCI'S SYNDROME : * Maffucci syndrome is a congenital non hereditary mesodermal dysplasia characterised by multiple enchondromas with soft-tissue cavernous haemangiomas. * Imaging findings are multiple enchondromas seen associated with soft tissue swelling and phleboliths. * Enchondromas degenerate into chondrosarcomas in 15-51% of cases and soft-tissue haemangiomas to vascular sarcomas in 3-5%. Refer orthopedic pathology by Vincent PG p 401